All the following are hormonal agents used against breast cancer except
1. Letrozole
2. Exemestane
3. Taxol
4. Tamoxifen

Correct answer: 3. Taxol

Explanation: Refer Katzung 10th/897 Letrozole, anastrozole and exemestane are aromatase inhibitors useful for the treatment of tamoxifen resistant breast cancer Tamoxifen is a SERM It is also used for breast cancer Taxol is commonly used term for paxclitaxel